Which does not cause pseudomembranous enterocolitis ?
1. Vancomycin
2. Levofloxacin
3. Clindamycin
4. Ceftazidime

Correct answer: 1. Vancomycin

Explanation: Ans. is 'a' i.e., Vancomycin o Antibiotics associated with Pseudomembranous Colitis ? 1) Clindamycin 2) Ampicillin 3) Cephalosporins (Cefotaxime, Ceftriaxone, Cefuroxime, Ceftazidime) 4) Fluoroquinolones (Ciprofloxacin, Levofloxacin, Moxifloxacin)